A patient on antidepressant therapy developed sudden hypertension on consuming cheese. Which of the following drug is probably responsible for this condition?
1. Amitriptyline
2. Tranylcypramine
3. Fluoxetine
4. Sertraline

Correct answer: 2. Tranylcypramine

Explanation: Sudden hypertension on consuming cheese in a patient who is on antidepressant suggests the diagnosis of Cheese reaction. Among antidepressants, cheese reaction is caused by MAO inhibitors (tranylcypromine, phenelzine, moclobemide, clorgyline).